Hemiplegia is most often caused by thrombosis of :
1. Anterior cerebral aer
2. Middle cerebral artery
3. Posterior cerebral artery
4. Basilar artery

Correct answer: 2. Middle cerebral artery

Explanation: B i.e. Middle cerebral arteryHemiplegia on opposite half of body is most commonly caused by thrombosis of lenticulo striate branches of middle cerebral artery .